Which adhesion molecule is involved in morphogenesis?
1. Osteopontin
2. Osteonectin SPARC
3. Tenascin
4. Thrombospondin

Correct answer: 3. Tenascin

Explanation: Various adhesive glycoproteins act as glue for the ECM and the cells. These consist of fibronectin, tenascin (cytotactin) and thrombospondin.
Tenascin or cytotactin is the glycoprotein associated with fibroblasts and appears in wound about 48 hours after injury. It disappears from mature scar tissue.

Mohan H. Textbook of Pathology. Jaypee Brothers Medical Publishers; 2015. Edition 7. Page 160